A patient complains to his physician of chronic constipation. On the instruction of his physician, the patient increases his dietary fiber, but his constipation persists. The physician refers the patient to a gastroenterologist. Colonoscopy reveals over fifty 2-3 mm openings into the bowel mucosa. No bleeding is seen, and the intervening mucosa appears normal. Which of the following is the most likely diagnosis?
1. Amebiasis
2. Crohn disease
3. Diverticulosis
4. Pseudomembranous colitis

Correct answer: 3. Diverticulosis

Explanation: The appearance described is typical for diverticulosis. The openings seen are into diverticula, which are small, acquired outpouchings of the mucosa through the muscle of the bowel. Milder cases of diverticulosis are usually asymptomatic; patients with extensive diverticula may experience mild cramps, bloating, or constipation. In amebiasis, the patient would have much more severe symptoms and bleeding would probably be present. In Crohn disease, pseudomembranous colitis, and ulcerative colitis, the mucosa would appear obviously diseased.